Yellowing of the skin occurs in hypothyrodism because of -
1. Increased bilirubin
2. Increased obolesterol
3. Increased carotene
4. Increased

Correct answer: 3. Increased carotene

Explanation: The yellow tinge to the skin in hypothyroidism is due to carotene accumulation. This is because the conversion of beta-carotene (provitamin A) to 2 molecules of vitamin A (retinol) is accelerated by thyroxine and thus in hypothyroidism there is hyper beta-carotenemia. Reference : page 2291 Harrison's Principles of Internal Medicine 19th edition